Verrucous carcinoma is an -
1. Extremely well differentiated squamous cell carcinoma
2. Poorly differentiated squamous cell anaemia
3. Example of condyloma
4. An example of adenocarcinoma

Correct answer: 1. Extremely well differentiated squamous cell carcinoma

Explanation: Pathology of penile cancer

Most of the carcinomas are squamous cell carcinomas.
Usually, originate on the glans or inner surface of the prepuce.
Two most common growth patterns are →

 (i) Papillary
 (ii) Flat

A third and uncommon type is verrucous carcinoma. Which is a well-differentiated variant of squamous cell carcinoma with low malignant potential